Aboifacient causing ototoxicity is :
1. Lead
2. Quinine
3. Mercury
4. Ergot

Correct answer: 2. Quinine

Explanation: Quinine